All of the following are features of pheochromocytoma except-
1. Hypertensive paraoxysm
2. Headache
3. Orthostatic hypotension
4. Wheezing

Correct answer: 4. Wheezing

Explanation: respiratory complications are less compared to cardiovascular symptoms which include palpitation, tachycardia, hypertension, cardiomyopathy ( Harrison 17 pg2271)